Branches of facial nerve are:
1. Digastric
2. Stylohyoid
3. Posterior auricular
4. All of the above

Correct answer: 4. All of the above